Glyceryl trinitrate is given by a sublingual route because of:
1. High hepatic first-pass metabolism.
2. High bioavailability.
3. Short t- half in plasma.
4. Extensive protein binding.

Correct answer: 1. High hepatic first-pass metabolism.

Explanation: In the sublingual route, the liver is bypassed and drugs with the high first-pass metabolism are absorbed directly into systemic circulation.